An index of the binding affinity of a hormone for its receptor can be obtained by examining the
1. Y-intercept of a Scatchard plot
2. Slope of a Scatchard plot
3. Maximum point on a biological dose-response curve
4. X-intercept of a Scatchard plot

Correct answer: 2. Slope of a Scatchard plot

Explanation: Scatchard plots of hormone-receptor binding data give information regarding the number of receptors and the affinity of the hormone for its receptor. The x-intercept provides data regarding total receptor number, and the slope is equal to the negative of the association constant (-Ka).